Virus lacking hemagglutinin and neuraminidase but having membrane fusion protein is ?
1. RSV
2. CMV
3. HSV
4. EBV

Correct answer: 1. RSV

Explanation: Ans. is 'a' i.e., RSV RSV does not posses hemagglutinin or neuraminidase. . The viral envelope has two glycoproteins? i) G protein --> By which virus attaches to cell surface ii) F- protein ( Fusion protein) -->which bring about fusion between viral and host cell membranes. It is also responsible for cell to cell fusion, which leads to characteristic syncytial formation.